Sphenoid sinus drains into which of the following
1. Spheno-ethmoidal recess
2. Middle meatus
3. Superior meatus
4. Hiatus semilunaris

Correct answer: 1. Spheno-ethmoidal recess

Explanation: The right and left sphenoidal air sinuses lie within the body of sphenoid bone. They are separated by a septum. The two sinuses are usually unequal in size Each sinus opens into the sphenomandibular recess of corresponding half of the nasal cavity. Ref BDC volme3,6th edition pg 246